not seen in ACTH deficiency?
1. hyperpigmentation
2. weight loss
3. hyponatremia
4. hypoglycemia

Correct answer: 1. hyperpigmentation

Explanation: ACTH Deficiency * Results in hypocortisolism - Malaise , Anorexia , Weight-loss,weakness ; Gastrointestinal disturbances- Nausea , Vomiting ; Hyponatremia , hypoglycemia, hyperkalemia * Pale complexion - Unable to tan or maintain a tan , Not accompanied by hyperpigmentation * No features of mineralocorticoid deficiency - Aldosterone secretion unaffected ref : harrisons 21st ed